Chromosome associated with familial polyposis colon ? -
1. Chromosome 5
2. Chromosome 6
3. Chromosome 11
4. Chromosome 13

Correct answer: 1. Chromosome 5

Explanation: Robbins and Cotran pathologic basis of disease South Asia edition APC is a member of the class of tumor suppressor that function by downregulating growth promoting signalling pathway . Germline loss of function mutation involving the APC which is present in chromosome 5 are associated with familial adenomatous poliposis..